Which of the following is related to Ganser syndrome in a patient who is apparently healthy physically?
1. Approximate answer
2. Ataxia
3. Confusion
4. Repeated answers

Correct answer: 1. Approximate answer

Explanation: Ganser syndrome (hysterical pseudodementia) is a condition in which the patient exhibits symptoms of an apparent dementia or psychosis that are too exaggerated or inconsistent to fit such a diagnosis. The patient may exhibit vorbeireden, a phenomenon in which the patient's incorrect answers imply knowledge of the correct answer. It is usually associated with global amnesia for a crime and a dissociative shut-down of intellectual processes, producing apparent dementia. Ref: Nurcombe B. (2008). Chapter 24. Dissociative Disorders. In M.H. Ebe, P.T. Loosen, B. Nurcombe, J.F. Leckman (Eds), CURRENT Diagnosis & Treatment: Psychiatry, 2e.